Recovery is complete in the following injury
1. Neurotmesis
2. Axonotmesis
3. Neuroparaxia
4. Nerve avulsion

Correct answer: 3. Neuroparaxia

Explanation: Seddon's Classification Neuropraxia: It is temporary physiological paralysis of nerve conduction. Here recovery is complete. There is no reaction of degeneration. Axonotmesis: It is division of nerve fibres or axons with intact nerve sheath. There is reaction of degeneration distally with near complete recovery. Patient can present with sensory loss, paralysis of muscles or causalgia. Neurotmesis: Here complete division of nerve fibres with sheath occurs . Degeneration occurs proximally up to the first node of Ranvier as well as distal to the injury. Recovery is incomplete even after nerve suturing. There is complete loss of motor and sensory functions with loss of reflexes. If the nerve is mixed type other than pure motor or sensory recovery is still poorer. Injuries may be incised or lacerated or crushed one. Cut end of the nerve forms proximally neuroma and distally glioma. Ref: SRB's Manual of Surgery 5th edition Pgno : 264